The following muscle is an opener of the glottis -
1. Lateral cricoarytenoid
2. Posterior cricoarytenoid
3. Transverse arytenoid
4. Inter arytenoids

Correct answer: 2. Posterior cricoarytenoid

Explanation: Opener (abductor) of glottis is posterior cricoarytenoid.